Psoriasis typically seen after  β - hemolytic streptococcal infection is
1. Pustular psoriasis
2. Guttate psoriasis
3. Erythrodermic psoriasis
4. Psoriasis vulgaris

Correct answer: 2. Guttate psoriasis

Explanation: Guttate psoriasis is characterized by small,rain drop like lesions typically seen after β - hemolytic streptococcal infection.It is treated with antibiotics.